Cresentic glomerular deposits are seen in
1. Wegener's granulomatosis
2. Polyarteritis nodosa
3. Thrombangitis obliterans
4. All of the above

Correct answer: 1. Wegener's granulomatosis

Explanation: Pathological Hallmarks 1. Acute necrotizing granulomatous inflammation in the upper respiratory tract (ear, nose, sinuses, throat) or the lower respiratory tract (lung) or both. 2. Necrotizing or granulomatous vasculitis affects small to medium-sized vessels 3. Renal lesions: a. Early lesions: Glomeruli show focal and segmental necrotizing glomerulonephritis. b. Advanced lesions: They are characterized by rapidly progressive crescentic glomerulonephritis (RPGN). ANCA is associated with Wegener's granulomatosis. Strawberry gums: Wegener's granulomatosis Ref: RAM DAS NAYAK EXAM PREPARATORY MANUAL FOR UNDERGRADUATES 2nd ed. pg no: 389